Sterility is caused by:
1. Vinca alkaloids
2. Alkylating agents
3. Antimetabolites
4. Actinomycin D

Correct answer: 2. Alkylating agents

Explanation: Sterility and secondary leukemias are distinctive adverse effects of alkylating agents. Other adverse effects of alkylating agents: BM depression Alopecia Mucositis - Diarrhoea Hyperuricemia